Which one of the following statements about H.pylori is NOT true -
1. Its prevalence increases with age
2. Its prevalence is inversely related to socio-economic status
3. Commonly fundus is the site of colonization
4. It is implicated in duodenal ulcer, gastric ulcer and gastric carcinoma

Correct answer: 3. Commonly fundus is the site of colonization